Trachoma screening is done on which of the following age-groups?
1. <5 years
2. 5-10 years
3. 1-9 years
4. 5-15 years

Correct answer: 3. 1-9 years